Histamine causes:
1. Hypertension
2. Vasoconstriction
3. Vasodilation
4. Tachycardia

Correct answer: 3. Vasodilation

Explanation: The main actions of histamine are: 

Vasodilation
Increased vascular (venular) permeability
Itching 
Pain

Stimulation of mast cells and basophils also releases products of arachidonic acid metabolism including the release of slow reacting substances of anaphylaxis (SRS-As). 
The SRS-As consist of various leukotrienes (LTC4, LTD4 and LTE4).
Mohan H. Textbook of pathology. Jaypee Brothers Medical Publishers; 2015. Edition 7. Page 123